Prolonging a person's life through technological means is known as
1. Dysthanasia
2. Novus actus interveniens
3. Euthanasia
4. Orthotanasia

Correct answer: 1. Dysthanasia

Explanation: Ans. is 'a' i.e., Dysthanasia * In medicine, dysthanasia means "bad death" and is considered a common fault of modern medicine: Dysthanasia occurs when a person who is dying has their biological life extended through technological means without regard to the person's quality of life.* Dysthanasia is the term for futile or useless treatment, which does not benefit a terminal patient. It is a process through which one merely extends the dying process and not life per se. Consequently, patients have a prolonged and slow death, frequently accompanied by suffering, pain and anguish. When one invests in healing a patient who has no chance of cure, s/he is actually undermining the person's dignity. Advanced measures and their limits should be assessed to benefit the patient and not to hold science as an end in itself.* Euthanasia is currently conceptualized as an action that aims to end the life of a human being taking into account humanistic considerations in relation to the person or society; it is unethical and illegal in Brazil. Nurses should be aware of their ethical code, which clearly prohibits (article 29): "Promoting euthanasia or participating in practice intended to facilitate a patient's death".* Orthotanasia refers to the art of promoting a humane and correct death, not subjecting patients to misthanasia or dysthanasia and not abbreviating death either, that is, subjecting them to euthanasia. Its great challenge is to enable terminal patients to keep their dignity, where there is a commitment to the well being of patients in the final phase of a disease.